Lathi can cause all of the following injuries, except:
1. Fissured fracture
2. Contusion
3. Incised looking lacerated wound
4. Incised wound

Correct answer: 4. Incised wound

Explanation: Lathi is a blunt weapon. It cannot produce incised wound, which is a sharp force injury. Blunt force injuries: Abrasion, Contusion, Laceration & Fracture. Sharp force: Incised wound (light cutting weapon), chop wound (heavy cutting weapon) & Stab (pointed weapon).